Which of the following tissue deposits is called chalcosis?
1. Copper
2. Cadmium
3. Chromium
4. Aluminum

Correct answer: 1. Copper

Explanation: Ans. is 'a' i.e., Coppero Chalcosis refers to the deposition of copper in the tissues.o Chalcosis is a term used to describe the deposition of the copper (Cu) in the tissues especially tissues of the eyes.o Chalocosis in occular tissues generally occurs from the presence of a copper foreign body within the eye.